In osteogenesis imperfecta, the tympanogram is -
1. Flat
2. Non-compliance
3. High-compliance
4. Low-compliance

Correct answer: 4. Low-compliance

Explanation: This is a very interesting question – They are testing our knowledge as well as application ability.
Osteogenesis imperfecta is associated with otosclerosis.
Vander Hoeve syndrome is a triad of: